Which one of the following insecticides is commonly used for ultra low volume fogging -
1. Abate
2. DDT
3. Paris green
4. Malathion

Correct answer: 4. Malathion

Explanation: Ans. is 'd' i.e., Malathion o New equipment has been developed to use residual insecticide as space spray by ultra low volume (ULV technique. o Malathions and fenthion are most commonly used.